A patient who presented with ocular complaints was found to have 'Dalen-Fuchs nodules'. These nodules are characteristic of:
1. Eales disease
2. Allergic conjunctivitis
3. Sympathetic ophthalmia
4. Retinal detachment

Correct answer: 3. Sympathetic ophthalmia

Explanation: Sympathetic ophthalmia: It is an inflammation in the second eye after the other has been damaged by penetrating injury. Floating spots and loss of the power of accommodation are among the earliest symptoms. The disease may progress to severe iridocyclitis with pain and photophobia. The retina usually remains uninvolved, but nests of epithelioid cells may protrude through the pigment epithelium of the retina, giving rise to Dalen-Fuchs nodules. The inflammation may destroy the architecture of the entire uvea, leaving an atrophic, shrunken globe. Ref: Chan T.Y., Hodge W.G. (2011). Chapter 16. Immunologic Diseases of the Eye. In P. Riordan-Eva, E.T. Cunningham, Jr. (Eds), Vaughan & Asbury's General Ophthalmology, 18e.